In Anterior dislocation of the shoulder which nerve is commonly affected
1. Ulnar nerve
2. Axillary nerve
3. Radial nerve
4. Median nerve

Correct answer: 2. Axillary nerve

Explanation: The shoulder is the most frequently dislocated joint. It moves almost without restriction but pays the price of stability.
The shoulders integrity is maintained by the glenohumeral joint capsule, the cartilaginous glenoid labrum (which extends the shallow glenoid fossa), and muscles of the rotator cuff.
Anterior dislocations occur in as many as 98% of cases.
Anterior displacement of the humeral head is the most common dislocation seen by emergency physicians. Shoulders Pathology and Nerve Involved
An inferior shoulder dislocation is the least common form of shoulder dislocation.
The condition is also called luxatio erecta because the arm appears to be permanently held upward or behind the head, in fixed abduction.
It is caused by a hyper-abduction of the arm that forces the humeral head against the acromion